Sudden discontinuation of which of the following drugs can cause agitation, anxiety and insomnia?
1. Imipramine
2. Valproate
3. Olanzapine
4. Venlafaxine

Correct answer: 4. Venlafaxine

Explanation: Venlafaxine is the most common drug associated with discontinuation syndrome.